Which of the following antiarrhythmic drugs can develop Long QT syndrome?
1. Ibutilide
2. Dofetilide
3. Sotalol
4. All the above

Correct answer: 4. All the above

Explanation: Ans. is 'd' i.e., All the above Proarrhythmic Manifestations of Most Frequently Used Antiarrhythmic AgentsDrugCommon Proarrhythmic ToxicityAmiodarroneSinus bradycardia, AV block, increase in defibrillation thresholdRare: long QT and torsades des pointes,1:1 ventricular conduction with atrial flutterAdenosineAll arrhythmias potentiated by profound pauses, atrial fibrillationDigoxinHigh - grade AV block, fascicular tachycardia, accelerated junctional rhythm, atrial tachycardiaDisopyramideLong QT and torsades des pointes, 1:1 ventricular responses to atrial flutter; increased risk of some ventricular tachycardias in patients with structural heart diseaseDofetilideLong QT and torsades des pointesDronedaroneBradyrrhythmias and AV block, long QT and torsades des pointesFlecainides1:1 Ventricular response to atrial fluter; increased risk of some ventricular tachycardias in patients with structural heart disease; sinus bradycardiaIbutilideLong QT and torsades des pointesProcainamideLong QT and torsades des pintes 1:1 ventricular response to atrial fluter; increased risk of some ventricular tachycardias in patients with structural heart diseasePropafenone1:1 Ventricular response to atrial flutter; increased risk of some ventricular tachycardias in patients with structural heart disease; sinus bradycardiaQuinidineLong QT and torsades des pointes, 1:1 ventricular response to atrial flutter; increased risk of some ventricular tachycardias in patients with structural heart diseaseSotalolLong QT amd tprsades des pointes, sinus bradycardia